Inulin clearance closely resembles ?
1. G. F. R.
2. Renal Plasma flow
3. Creatinine clearance
4. P.A.H. clearance

Correct answer: 1. G. F. R.

Explanation: A i.e. GFR